AED stands for?
1. Automatic external defibrillator
2. Automated external defibrillator
3. Automatic electrical defibrillator
4. Automated electrical defibrillator

Correct answer: 2. Automated external defibrillator

Explanation: ADE is automated external defibrilater An automated external defibrillator (AED) is a portable electronic device that automatically diagnoses the life-threatening cardiac arrhythmias of ventricular fibrillation (VF) and pulseless ventricular tachycardia,and is able to treat them through defibrillation, the application of electricity which stops the arrhythmia, allowing the heart to re-establish an effective rhythm Ref Davidson 23rd edition pg 445